Which of the following agents is not used in the treatment of Diabetic Macular Edema/Retinopathy?
1. Ruboxistaurim
2. Pyridazinoncs
3. Benfotiamine
4. Tamoxifen

Correct answer: 4. Tamoxifen

Explanation: Delayed side effects of tamoxifen include infrequent pulmonary emboli or thrombosis, depression, retinopathy, corneal opacities and rare endometrial carcinomas. There have been repeated reports of ophthalmic complications from tamoxifen including irreversible retinopathy with seriously reduced visual acuity, refractile opacities, cystoid macular edema, retinal yellow white dots and keratopathy. Ref: Meyler's Side Effects of Endocrine and Metabolic Drugs By J. K. Aronson - Page 304; Medical toxicology By Richard C. Dart - Page 524.